Fox Fordyce's disease is a disease of -
1. Eccrine sweat glands
2. Apocrine sweat glands
3. Sebaceous glands
4. Pilosebaceous glands

Correct answer: 2. Apocrine sweat glands

Explanation: Ans. is 'b' i.e., Apocrine sweat glands Diseases of Sweat glands 1) Eccrine glands - Hyperhydrosis, Anhydrosis, 2) Apocrine glands - Chromhidrosis (colored sweet), Osmidrosis (offensive sweat odor), Bromhidrosis (hyperhidrosis + offensive odor), Fox - Fordyce's disease (apocrine miliaria), hidradenitis suppurativa. Diseases of sebaceous glands 1) Pilosebaceous glands - Acne vulgaris. Epidermoid (sebaceous) cyst. 2) Ectopic sebaceous glands - Fordyce's spot, Montgomery's tubercle Note: Fordyce's spot represents ectopic sebaceous glands on lips (most common site) and oral mucosa. They may also appear on vulva and penis, where they are called Tyson's gland, i.e., an ectopic sebaceous gland at penis (prepuce) and vulva is called Tyson's gland. o Thus Fox Fordyces spots: the disease of apocrine sweat glands wile fordyces spots: ectopic sebaceous glands.